What is the indication of using Micro Wick and Microcatheter sustained release devices?
1. Drooling of saliva
2. Frey's syndrome
3. Conrol of epistaxis
4. Deliver drug to the round membrane

Correct answer: 4. Deliver drug to the round membrane

Explanation: Micro Wick and Microcatheter are methods of delivery of medications directly to the inner ear.